Invert sugar is
1. Lactose
2. Sucrose
3. Hydrolytic products of sucrose
4. Fructose

Correct answer: 3. Hydrolytic products of sucrose

Explanation: Sucrose on hydrolysis yields D glucose and D-fructose. But the optical rotation changes from dextrorotatory to leavorotatory. Hence the hydrolytic products of sucrose are called as invert sugar.